Patient suffering form Eagle's syndrome complains of
1. burning sensations in mouth
2. excessive salivation.
3. Glossodynia
4. Dysphagia

Correct answer: 4. Dysphagia